Periodontal ligament is
1. Narrower on mesial surface
2. Wider on mesial surface
3. Equal on both the surfaces
4. Wider in the anterior teeth

Correct answer: 1. Narrower on mesial surface